What is the cause of hypercoagulation in nephrotic syndrome:
1. Loss of antithrombin III (AT III)
2. Decreased fibrinogen
3. Decreased metabolism of vitamin K
4. Increase in Protein C

Correct answer: 1. Loss of antithrombin III (AT III)

Explanation: Thrombotic and thromboembolic complications are common in nephrotic syndrome due to loss of anticoagulant factor (e.g. antithrombin III, protein C and S) combined with increased platelet activation. Renal vein thrombosis is most often a consequence of this hypercoagulative state. There is also increased synthesis of fibrinogen in the liver.